Which of the following is NOT an assisted reproduction technique
1. ZIFT
2. GIFT
3. IVF and embryonal transfer
4. Artificial insemination into the uterus

Correct answer: 4. Artificial insemination into the uterus

Explanation: Ans. D. Artificial insemination into the uterusAssisted reproductive technologiesa. Couples who have failed to respond to traditional infertility treatments, including those with tubal disease, severe endometriosis, oligospermia, immunologic or unexplained infertility, may benefit from in vitro fertilization (IVF), gamete intrafallopian transfer (GIFT) and zygote intrafallopian transfer (ZIFT)b. All of the procedures involve ovarian stimulation to produce multiple oocytesc. GIFT - involves the placement of sperm and eggs in the uterine tube by laparoscopy or minilaparotomy and is more invasive than IVFd. GIFT is not appropriate for women with severe tubal disease and is less successful than IVF ZIFT - fertilization occurs in vitro, and the early development of the embryo occurs in the uterine tube after transfer by laparoscopy or minilaparotomye. A recent development is intracytoplasmic sperm injection (ICSI) which allow fertilization with a single sperm, this provides the opportunity for men with severe oligospermia or obstructive azoospermia to father children.f. Artificial insemination in Azoospermia - If azoospermia is present, artificial insemination by a donor usually result in pregnancy, assuming female function is normal.g. Artificial insemination isn't an assisted reproductive technique as it doesn't require any stimulation to ovaries or testicles. It is simply transfer of sperms to female reproductive tract artificially in a viable state.